Rain drop pigmentation is seen in:
1. Penicillamine
2. Arsenic
3. Mercury
4. Lead

Correct answer: 2. Arsenic

Explanation: Ans: b (Arsenic) Ref: Reddy, 27th ed, p. 473Features of arsenic poisoning* Fatal dose 120-200 mg* Poisoning resembles cholera* Mees line in nails* Hyperkeratosis of palms and soles* Haemorragic spots in mucosa* Red velvety stomach mucosa* Raindrop pigmentation - measles like fading* Subendothelial petechial haemmorages* Addison like disease - due to pigmentation* Arsenic neuritis resembles that of chronic alcoholismDetectionArsenic is rapidly cleared from the body, so blood samples are useful only in acute poisoningIn chronic poisoning - Hair nails and skin samples are preservedMaximum amount is seen in liver than skin.It can be detected even in decomposed bodiesMarsh test and Reinsch test are done to detect arsenic